A child has presented with a BP of 190/110, pedal edema++, facial edema, gross hematuria and absent ascites, The most probable diagnosis is
1. Acute glomerulonephritis
2. Minimal change nephritis syndrome
3. Renal vein thrombosis
4. Renal amyloidosis

Correct answer: 1. Acute glomerulonephritis

Explanation: Glomerulonephritis signs and symptoms include: Pink or cola-colored urine from red blood cells in your urine (hematuria) Foamy urine due to excess protein (proteinuria) High blood pressure (hypertension) Fluid retention (edema) with swelling evident in your face, hands, feet and abdomen. Causes of Acute Glomerulonephritis 1.Non-infectious 2.Infectious # Numerous infectious organisms, include fungi, bacteria, rickettsia, virus, especially influenza, and parasites could induce PAGN. # However, APSGN accounts for 80 to 90% of such cases and is used as the prototype for this group of disorder. # APSGN is a classic example of the acute nephritic syndrome Reference: GHAI Essential pediatrics, 8th edition